A pt is brought to the emergency as a case of head injury, following a head on collision road traffic accident. His BP is 90/60 mmHg. Tachycardia is present. Most likely diagnosis is
1. EDH
2. SDH
3. Intra abdominal bleeding
4. Intra cranial hemorrhage

Correct answer: 3. Intra abdominal bleeding

Explanation: CDST says "Patients with blunt trauma and hypovolemia should be examined first for Intra abdominal bleeding even if there is no overt existence of abdominal trauma Ref: CDST 13th edition Pgno :196